In which of the following tissues, is glycogen incapable of contributing directly to blood glucose?
1. Liver
2. Muscle
3. Both
4. None

Correct answer: 2. Muscle

Explanation: Only liver can replenish blood glucose through gluconeogenesis because glucose-6-phosphatase is present mainly in liver.Ref: DM Vasudevan, 7th edition